The route of administration of amyl nitrite in "cyanide poisoning " is
1. Intramuscular
2. Intravenous
3. Subdermal
4. Inhalation

Correct answer: 4. Inhalation

Explanation: Antidotal Therapy in cyanide poisoning:The 3-step cyanide antidote kit is used. It contains amyl nitrite, sodium nitrite, and sodium thiosulfate.i. 0.3 ml ampoule of amyl nitrite is broken in a gauze and the victim is made to inhale for 30 seconds, every minute (1st step), and use a new ampoule every 3 min. Stop amyl nitrite, if systolic BP is < 80 mmHg.ii. 10 ml of 3% solution (300 mg) of sodium nitrite is injected IV slowly over 5 min (2nd step), followed by 50 ml of 25% solution (12.5 g) of sodium thiosulfate over 10-20 min, by the same needle (3rd step). Ref: Krishnan vij textbook of forensic medicine ; 5th ed; Page no: 548